The most commonly used colloid based formula in burns is
1. Parkland formula
2. Muir and Barclay formula
3. Baxter's formula
4. Wallace formula

Correct answer: 2. Muir and Barclay formula

Explanation: Muir and Barclay formula for colloid is =0.5* percentage burnt surface area* weight(kg) = one portion. A total of 6 portions are given in 36 hrs 3 portions : 1 portion every 4hrs in 12 hrs 2 portions : 1 portion for every 6 hrs in next 12 hrs 1 portion : Remaining 1 portion in the last 12 hrs